Which of the following drugs is most likely to cause hypoglycemia when used as a monotherapy in the treatment of type 2 diabetes ?
1. Acarbose
2. Glipizide
3. Metformin
4. Rosiglitazone

Correct answer: 2. Glipizide